Posterior segment of the eyeball includes structures present posterior to the:
1. Posterior surface of the lens and zonules
2. Iris and pupilVitreous body
3. Anterior surface of the lens and zonules
4. None

Correct answer: 1. Posterior surface of the lens and zonules

Explanation: Ans. Posterior surface of the lens and zonules